Haemopoietic stem cells differ from committed progenitor cells in bone marrow in :
1. Elaborate growth factors
2. Alter receptor to protein binding
3. Provide permanent structure
4. Provide long term reconstitution of bone marrow

Correct answer: 4. Provide long term reconstitution of bone marrow